Leukocoria can be seen in all except –
1. Persistant hyperplastic primary vitreous
2. Congenital glaucoma
3. Fungal endopthalmitis
4. Retinoblastoma

Correct answer: 2. Congenital glaucoma

Explanation: Congenital cataract (not congenital glaucoma) can cause leukocoria.